The copper NiTi wires are not available in the temperature range of:
1. 15°
2. 29°
3. 35°
4. 40°

Correct answer: 2. 29°